Behcet's syndromes is characterized by all, Except:
1. Myocarditis
2. Erythema Nodosum
3. Oral and Genital ulcers
4. Thrombophlebitis

Correct answer: 1. Myocarditis

Explanation: Answer is A (Myocarditis): Myocarditis has not been mentioned as an association with Behcet's syndrome. Behcet's syndrome may present with recurrent oral and genital ulceration, Thrombophlebitis and Erythema Nodosum (Skin lesions) Behcet's syndrome Behcet's syndrome is a chronic multisystem relapsing vascular inflammatory disease (vasculitis) of unknown origin Behcet's disease is primarily a small vessel vasculitis but is can also involve large vessels both arteries and veins. Behcet's disease is associated with HLA-B5 rather than HLA B27 Disease pf young people (20 par)Q Male's affected equally as femalesQ HLA B5 positiveQ Diagnostic criteria Essential criteria plus two of the non essential criteria are required for diagnosis Essential criteria Recurrent oral Ulceration Oral ulceration is the hallmark of diseaseQ These are sin qua non for the diagnosis Types of Ulcers include - Minor Aphthous - Major Aphthous - Herpetiform ulcers - Features of oral ulcers - PainfulQ - Shallow with a central yellowish necrotic base - Appear singly or in crops - Subside without leaving scars' (persist for 1-2 weeks) Non-Essential criteria Recurrent Genital Ulcers * Less common but more specific * Do not affect glans or urethra * Produce scars (scrotal scars) Eye lesions : Uveitis * Anterior Uveitis (Recurrent Hypopyon) * Posterior uveitis * Retinal vasculitis Skin lesions * Erythema nodosum * Pseudofolliculitis * Pseudopustular lesions * Acneiform nodules Positive Pathergy Test * Pathergy refers to hyperreactivity of skin to any intracutaneous injection or needle stick * Pathergy is characteristic feature of Behcet's although the mechanism is unknown * Pathergy test is said to be positive if a papule or pustule >2mm develops 24-48 hrs after needle prick to a depth of 5 mm.